Pupillary light reflex related with all except
1. Retina
2. Pretectal nucleus
3. Edinger - westphal nucelus
4. Superficial longitudinal association tract

Correct answer: 4. Superficial longitudinal association tract

Explanation: The constriction of pupil upon projection of light is called pupillary reflex.Afferent pathway :Retina>>optic N>>optic tract>>pretectal nucleus >>edingher Westphal nucleusEfferent pathway:Edinger Westphal nucleus>> oculomotor N >>ciliary ganglion>>short ciliary N>>sphincter pupillae.Superficial longitudinal fasciculus is association fibres connecting frontal lobe and occipital lobe.(Ref: Vishram Singh textbook of clinical neuroanatomy second edition pg 217)